All of the following are components of SNARE complex, EXCEPT:
1. Synatobrevin
2. Syntaxin
3. Snap 25
4. Synaptotagamin

Correct answer: 4. Synaptotagamin

Explanation: Organelle-specific trafficking of vesicles requires specialized proteins that regulate vesicle transport, docking and fusion. These are generically termed SNAREs (soluble N-ethylmaleimide-sensitive-factor attachment protein receptor) proteins that form complexes bridging the two membranes and comprise of membrane-associated proteins (i.e. the synaptobrevin/VAMP, syntaxin and SNAP-25 families) which mediate membrane fusion. Ref: From Molecules to Networks: An Introduction to Cellular and Molecular; By John H. Byrne, James Lewis Roberts, page 234.